True about sympathetic ophthalmitis?
1. It is bilateral non granulomatous uveitis
2. Dalen Fuch's Nodules are seen
3. Paton's Lines are seen
4. It is caused due to corneal injury

Correct answer: 2. Dalen Fuch's Nodules are seen

Explanation: *Dalen Fuch's nodules are seen in sympathetic ophthalmitis. It is granulomatous condition caused by injury to ciliary body. Ref: Khurana 7th/e p.455